Which of the following is not a sign of successful stellate ganglion block –
1. Nasal stuffness
2. Guttman sign
3. Homer's syndrome
4. Bradycardia

Correct answer: 4. Bradycardia

Explanation: Signs of successful stellate ganglion block :- Horner's syndrome, flushing of face, conjuctival congestion, nasal stuffiness (Guttman's sign), injection of tympanic membrane (Mueller's syndrome), increased skin temprature, lacrimation.